Ispilateral optic atrophy with contralateral papilloedema is a feature of-
1. Fischer syndrome
2. Foster kennedy syndrome
3. Vogt- kayanagi- Harada syndrome
4. WAGR syndrome

Correct answer: 2. Foster kennedy syndrome

Explanation: Suggests a tumour of the ipsilateral olfactory groove or orbital surface of the frontal lobe or of the pituitary body. This syndrome is due to optic nerve compression (optic atrophy) by the tumor and increased intra cranial pressure secondary to a mass ( tumor) causing contralateral papilloedema. Ref: Parson's 22 nd edition page no. 353